Glucogenic aminoacids give rise to all of the following intermediates of citric acid cycle except-
1. Isocitrate
2. a ketoglutarate
3. Succinyl CoA
4. Fumarates

Correct answer: 1. Isocitrate

Explanation: Ans. is 'a' i.e., IsocitrateGlucogenic amino acids Component of TCA cycle producedHistidine, proline, glutamine, arginineGlutamatea-ketogiutarateIsoleucine, methioniney valine Succinyl CoATyrosine, phenylalanine FumarateTryptophanAlaninePyruvateHydroxyproline, serine, cysteine, threonine, glycine Pyruvate